Premature ejaculation phase is seen in -
1. Excitement phase
2. Plateau phase
3. Orgasm phase
4. Refractory phase

Correct answer: 3. Orgasm phase

Explanation: Ans. C. Orgasm phaseThe male sexual response is described as a sequence of phases including 4 stages: sexual desire, arousal, orgasm (ejaculation) and resolution.The male sexual dysfunction usually occurs in one or more of the three first stages of the sexual response cycle, including:Dysfunctions of sexual desire (e.g. hypoactive sexual desire)Arousal (e.g. erectile dysfunction)Orgasm/ejaculation (e.g. premature ejaculation, retarded ejaculation or inability to ejaculate).Premature ejaculation occurs due to the rapid evolution of the two first stages of the sexual response cycle and is not necessarily related to strong sexual arousal or changes in erection.Premature Ejaculation seems to be a neurobiological problem that is related to low serotonin levels in those regions of the central nervous system that regulate ejaculation (brain and spinal cord).